Cruelty of Mrs. X for dowry by her husband Mr. Y and in Laws is Punishable under
1. 304 A IPC
2. 304 B IPC
3. 498 A IPC
4. 320 IPC

Correct answer: 3. 498 A IPC

Explanation: Sec 498 A IPC- Subjecting a married woman to cruelty by husband or in laws. Sec 320 IPC- Grievous Hurt - Definition Sec 304 A IPC- Death caused by rash and negligent act - 2 yrs. Sec 304 B IPC- Dowry death: death of a female within 7 yrs of marriage.